Which of the following tracts is seen in the posterior column of spinal cord -a) Lateral spinothalamic tractb) Fasciculus gracilisc) Fasciculus cuneatusd) Rubrospinal tracte) Posterior spinocerebellar
1. ab
2. bc
3. bde
4. ce

Correct answer: 2. bc

Explanation: Ascending tracts in spinal cord

Posterior :- Fasciculus gracilis, fasciculus cuneatus
Lateral :- Lateral spinothalamic, anterior and posterior spinocerebellar, spino-olivary, spinotectal
Anterior :- Anterior spinothalamic